Shelf life of blood in a blood bank in CPDA buffer
1. 21 days
2. 30 days
3. 35 days
4. 42 days

Correct answer: 3. 35 days

Explanation: Answer- C. 35 daysCitrate phosphate dextrose-adenine (CPD-A )- 35 days